Most active form of vitamin D
1. Calcefedial
2. Calcitriol
3. 7-dehydrocholecalciferal
4. Vitamin D3

Correct answer: 2. Calcitriol

Explanation: Vitamin D- is a fat-soluble vitamin, chemically related to the steroids and essential for the normal formation of bones and teeth and for the absorption of calcium and phosphorus from the GI tract.1a,25-Dihydroxycholecalciferol (or 1,3,25-triol); or calcitriol is the active form of vitamin D, it is more potent than calcidiol. Ref: Ganong's review of medical physiology;24th edition; page no-379